Obstructive azoospermia is characterized by?
1. FSH & LH levels normal
2. Increased FSH and Low LH
3. Increased LH and Low FSH
4. Both, FSH and LH low

Correct answer: 1. FSH & LH levels normal

Explanation: Ans. A. FSH and LH levels are normalA normal testicular biopsy in an azoospermic man with a normal FSH level suggests obstruction of the vas.Obstruction (Obstructive Azoospermia)Approximately 6% of men have blockages in the genital tract that prevent the passage of sperm between the testes to the penis and result in absence of sperm in the semen.There are three major groups of causes of male genital tract blockages:a. Disorders of development of the epididymis, vas and seminal vesicles,b. Scarring from inflammation (especially Gonorrhoea) andc. Vasectomy.The function of the testes is dependent upon hormones from the pituitary gland, follicle stimulating hormone (FSH) and luteinizing hormone (LH). The blood levels of these hormones rise during the early stages of puberty and stimulate testicular development. LH controls production of the male sex hormone testosterone which in turn is responsible for the growth that occurs at puberty: development of the genitals, beard and body hair, prostate and seminal vesicles, and also development of bone and muscle and other aspects of masculine physique. If LH and FSH are deficient, the tests do not develop or function properly. In contrast, if the testes are damaged directly, the levels of these hormones in the blood rise.